Angular conjunctivitis is caused by -
1. H. influenza
2. Adenovirus type 32
3. Moraxella axenfield bacillus
4. Brahnmella

Correct answer: 3. Moraxella axenfield bacillus

Explanation: Moraxella axenfeld (moraxella lacunata) is the most common causative organism for angular conjunctivitis. Ref: Parson's 21st/e p.168